Hemorrhagic external otitis media is caused by?
1. Influenza
2. Proteus
3. Staphylococcus
4. Klebsiella

Correct answer: 1. Influenza

Explanation: It is characterised by the formation of hemorrhagic bullae on the tympanic membrane and deep meatus. It is probably viral in origin and seen in influenza epidemics. (Ref: Textbook of diseases of ENT, PL Dhingra, 7th edition, pg no. 55)